Diuretic used in essential hypertension is
1. Hydrochlorthiazide
2. Amiloride
3. Furosemide
4. Acetazolainide

Correct answer: 1. Hydrochlorthiazide